A patient presents to the emergency department with history of persistent fever & cough. Radiological features are suggestive of pneumonia. Sputum examination cultures reveal aerobic branching Gram positive filaments that are partially acid fast.Which of the following is the most likely etiological agent -
1. Actinomyces israeli
2. Nocardia asteriodes
3. Aspergillus fumigatus
4. Staphylococcus aureus

Correct answer: 2. Nocardia asteriodes